Halstaed's mastectomy is
1. Simple mastectomy
2. Wide local excision
3. Radical mastectomy
4. Modified radical Mastectomy

Correct answer: 3. Radical mastectomy

Explanation: Ans. (c) Radical Mastectomy(Ref Internet Sources)Halstaed Radical mastectomy is historical.* It involves removal of Entire breast, Nipple and areola with tumor* Also removes all level 1,2,3 nodes* Muscles like Pectoralis major, Serratus Anterior are also removed.* It's a very high morbid procedure and hence not done now a days after the wide usage of chemotherapy and radiotherapy.* Now we commonly do MRM- in which Pectoralis major muscle is preserved.